Type-I lepra reaction is commonly seen in:
1. Histoid Leprosy
2. Lepromatous Leprosy
3. Borderline tuberculoid leprosy
4. Polyneuritic leprosy

Correct answer: 3. Borderline tuberculoid leprosy

Explanation: type 1 reaction /reversal reaction is a delayed hypersensitivity reaction associated with a rapid increase in specific CMI activity against M.leprae. It usually occurs in borderline types of leprosy, (BB>BT >BL)characteristically associated with immunological instability. Page no.2046Reference IADVL's concise textbook of dermatology